Perkins traction used in
1. Fracture shaft femur
2. Foot drop
3. CTEV
4. Developmental dysplasia of Hip

Correct answer: 1. Fracture shaft femur

Explanation: Fracture shaft femur - Perkin's traction
Foot drop - Toe raising splint
CTEV - Dennis Brown splint 
DDH - Pavlick Hamers
           Bachelor cast
           Von Rosen splint